The HLA important in IDDM is -
1. HLA-A3
2. HLA-B27
3. HLA-DR3/DR4
4. HLA-W 1

Correct answer: 3. HLA-DR3/DR4

Explanation: Ans. is 'c' i.e., HLA DR3/DR4 95% of IDDM (Type I Diabetes Mellitus) patients express either HLA DR 3or HLA DR4 or the heterozygous DR/ DR4 configuration. No HLA association is seen with Type II Diabetes mellitus or NIDDM.